A 35-year-old woman is observed to have CIN grade III on colposcopic biopsy. T/t includes:a) Cold knife conizationb) Simple hysterectomyc) Radical hysterectomyd) Lap assisted hysterectomye) LEEP
1. abcd
2. bcde
3. acde
4. abde

Correct answer: 4. abde